The operating temperature in an ethylene oxide sterilization during a warm cycle is:
1. 49-63
2. 92-110
3. 20-35
4. 68-88

Correct answer: 1. 49-63

Explanation: Ans. is 'a' i.e, 49-63(Ref: Ananthanarayan, 9th/e, p. 35, 36; Baveja, 4th/e, p. 38)EO sterilization cycles - Cold cycle at 37+-5 and Warm cycle 54+-5.